A 15- year -female patient develops loss of appetite, cough followed by neck rigidity. CSF examination shows- glucose 40 mg%,protein 150mg%. chloride 52 meq/lit. with full of lymphocytes. The likely diaganosis is -
1. Tubercular meningitis
2. Brain abscess
3. Bacterial meningitis
4. Viral encephalitis

Correct answer: 1. Tubercular meningitis